Longest cranial nerve is
1. Vagus
2. Trigeminal
3. Trochlear
4. Olfactory

Correct answer: 1. Vagus

Explanation: The word "vagus" means wandering in Latin. This is a very appropriate name, as the vagus nerve is the longest cranial nerve. It runs all the way from the brain stem to part of the colon. Ref - medscape.com